A radiograph of the mesial aspect of the mandibular right first molar show 2-3 mm of bone loss, yet clinical probing indicate a pocket depth of 6-8 mm. This discrepancy is probably due to the?
1. Poor angulation used in taking the radiograph
2. Presence of mandibular tori in the area
3. Presence of mesial bone masking the destruction
4. Presence of facial or lingual bone masking the destruction

Correct answer: 4. Presence of facial or lingual bone masking the destruction